Opsonization takes place through -
1. C3a
2. C3b
3. C5a
4. C5b

Correct answer: 2. C3b

Explanation: The process of phagocytosis is further enhanced when microorganisms are coated with specific proteins, opsonins from the serum. Opsonins establish a bond between bacteria and bacteria and the membrane of the phagocytic cell. C3b is opsonin generated by activation of the implement pathway. RefReference: rush Mohan textbook of pathology, 7th edition, pg no:121